Primary investigation of choice in a patient with suspected subarachnoid haemorrhage should be:
1. Non-contrast computed tomography
2. Magnetic resonance imaging (MRI)
3. Contrast-enhanced computed tomography
4. Lumbar punture

Correct answer: 1. Non-contrast computed tomography

Explanation: Here the investigation of choice is Non-contrast CT; if it is not successful lumbar puncture can be tried. The most sensitive investigation is Digital subtractions angiography of both carotid and vertebral arteries. Ref: Mauricio Castillo (2006), Chapter 8, "Trauma", In the Book, "Neuroradiology Companion: Methods, Guidelines, and Imaging Fundamentals" 3rd Edition, Lippincotts Publications, USA, Page 52 ; Current Medical Diagnosis and Treatment, 2003, Page 965